Which of the following antiglaucoma drugs can cause heterochromia iridis
1. Timolol
2. Lantanoprost
3. Apraclonidine
4. Acetazolamide

Correct answer: 2. Lantanoprost

Explanation: Refer katzung 12e p 328 PGF2 alpha agonists like lantanoprost can cause iris pigmentation (heterochromia iridis) and growth of eye lashes(hypertrichosis) as adverse effect